Myositis - Ossificans common at
1. Shoulder joini
2. Elbow joint
3. Knee joint
4. Hipjoiiu

Correct answer: 2. Elbow joint

Explanation: B. i.e. (Elbow joint) (599 - Apley 8th) (369 - current Diagnosis and Treatment) 4th Myositis - ossificans (Post- traumatic ossification)* Ossification of the haematoma around a joint resulting in the formation of a mass of bone restricting joint movements often completely* Common at elbow joints (stress- reactive pseudo tumor)* Myositis ossificans histologically resembles to osteogenic sarcoma*** Quadriceps muscle is commonly involved* With maturation, ossification occurs in the traumatized muscle facial planes. Which may suggest the diagnosis of a synovial sarcoma or other calcifying sarcoma.* If the myositis pseudotumor is attached to the subjacent bone. It can mimic a parosteal osteosarcoma